A patient presented with Saddle anaesthesia with bladder and bowel involvement and muscle power is normal. The diagnosis is:
1. Cauda equina syndrome
2. L3-L4 root involvement
3. Conus medullaris lesion
4. L4-L5 disc prolapsed

Correct answer: 3. Conus medullaris lesion

Explanation: Conus medullaris syndrome is characterized by bilateral saddle anesthesia, prominent bladder- bowel dysfunction and impotence with loss of bulbocavernosus and anal reflex but with the preservation of muscle strength largely. The typical cauda equina syndrome consists of lower limb weakness, absent reflexes, impaired sensation and urinary retention (with overflow perhaps mimicking incontinence). In the question, it is clearly mentioned that muscle power is normal so the provisional diagnosis could be Conus medullaris syndrome.